Which among the following is highest risk factor for molar pregnancy
1. Prior C-section
2. Hypertension in pregnancy
3. Advanced age
4. Diabetes in pregnancy

Correct answer: 3. Advanced age

Explanation: Strongest risk factors for molar pregnancy are age and prior history of molar pregnancy.